A reduction in the CSF 5-HIAA (Hydroxyindoleacetic Acid) is associated with all the following, EXCEPT:
1. Suicide
2. OCD
3. Depression
4. Violence

Correct answer: 2. OCD

Explanation: The CSF levels of 5-HIAA (Hydroxyindoleacetic Acid) is low in patients who committed suicide, in depression and violence. It is considered to be associated with poor impulse control. It can be used to predict suicide. It is not known to be reduced in OCD. Ref: Kaplan & Sadock's Synopsis of Psychiatry, By Benjamin J Sadock, M.D., Harold I. Kaplan, Virginia A Sadock, M.D, 10th Edition, Page : 265